Which is not visualized on posterior rhinoscopy:
1. Eustachian tube
2. Inferior meatus
3. Middle meatus
4. Superior concha

Correct answer: 2. Inferior meatus

Explanation: Posterior rhinoscopy: It is method of examination of the posterior aspect of nose and pharynx. Structures seen on posterior rhinoscopy: - Both choanae - Posterior end of nasal septum - Opening of Eustachian - Posterior end of superior/tube middle and inferior turbinates - Fossa of Rosenmuller - Torus Tubarius - Adenoids - Roof and posterior wall and nasopharynx.